Erythema chronicum migrans is seen in ?
1. Lyme's disease
2. Glucagonoma
3. Gastrinoma
4. Phaeochromocytoma

Correct answer: 1. Lyme's disease

Explanation: 'a' i.e. Lyme's disease